Treatment of presbyopia is by use of w hich lens?
1. Convex
2. Concave
3. Biconcave
4. Concavoconvex

Correct answer: 1. Convex

Explanation: Ans. is 'a' i.e.. Convex Presbyopiao Presbyopia is a vision condition in which the crystalline lens of eye loses its flexibility, which make it difficult to focus on the objects closer to the eye. Presbyopia is not an error of refraction but a condition of physiological insufficiency of accommodation leading to a progressive fall in near vision. Presbyopia is an age related problem, therefore also called eye sight of old age.o Symptoms are usually seen after 40 years of age.o Presbyopia is not a disease, rather a natural part of the aging process of the eye.o The treatment of presbyopia is the prescription of appropriate convex glasses for near work.